True about Von Willebrand's disease is all except :
1. Increased bleeding time
2. Factor VIII c levels are decreased in circulation
3. Defect in VWF is detected by ristocetin
4. None

Correct answer: 4. None

Explanation: Answer is D None (All statements are true) Von Willebrand disease is associated with decreased levels of VWF and factor VIII in circulation. Bleeding time and APTT are prolonged. Platelet aggregation in response to ristocetin is abnormal which indicates a deficit in VWF or Ristocetin cofactor. Von Willebrand Von Willebrand disease is caused by a defect of deficiency of VWF factor and presents as bleeding and coagulation disorder. VWF factor is required fir normal platelet adhesion and aggregation. VWF factor is the plasma carrier for factor VIII which is required for intrinsic pathway of the coagulation cascade. VWF disease by demonstrating decreased aggregation.